Superior sulcus tumor of the lungs characteristically presents with:
1. Horner's syndrome
2. Breathlessness
3. Hemoptysis
4. Sweating

Correct answer: 1. Horner's syndrome

Explanation: Ans: A. Ref: Robbins Pathologic Basis of Disease, 8th edition Explanation: Apical lung cancers in the superior pulmonary sulcus tend to invade the neural structures around the trachea, including the cervical sympathetic plexus. It produces a group of clinical findings that includes severe pain in the distribution of the ulnar nerve and Horner syndrome (enophthal- mos, ptosis, miosis, and anhidrosis) on the same side as the lesion. Such tumors are also referred to as Pancoast tumors.